Proto-Oncogene associated with Familial Medullary thyroid carcinoma is
1. KRAS
2. BRAF
3. RET
4. KIT

Correct answer: 3. RET

Explanation: Proto-OncogeneAssociated tumorKRASColon, lung, and pancreatic tumorsBRAFMelanomas, leukemias, colon carcinoma, othersRETMultiple endocrine neoplasia 2A and B, Familial medullary thyroid carcinomasKITGastrointestinal stromal tumors, seminomas, leukemiasRef: Robbins and Cotran Pathologic Basis of Disease; 9th edition; Chapter 7; Neoplasia; Page no: 184; Table no: 7-5